The type of synechiae in iris bombe is –
1. Ring
2. Total
3. Goniform
4. Filiform

Correct answer: 1. Ring

Explanation: Iris bombe is seen in ring synechiae.